All of the following statements about hairy cell leukemia are true except:
1. Splenomegaly is conspicuous
2. Results from an expansion of neoplastic T-lymphocytes
3. Cells are positive for Tartarate Resistant Acid phosphatase
4. The cells express CD25 consistently

Correct answer: 2. Results from an expansion of neoplastic T-lymphocytes

Explanation: Hairy cell leukemia is a type of B-cell leukemia. Clinical feature: Massive splenomegaly Increase chances of infections DIAGNOSIS 1. BLOOD Pancytopenia Phase contrast microscopy- Hairy projections Staining- TRAP 2. Immunophenotyping CD11 + CD25+ CD103 + Annexin A1 + ( Best marker) 3.BM examination BM aspiration - Dry tap BM biopsy- Honey comb appearance - Fried egg appearance